Which complement component is anaphylotoxin -
1. C3b
2. C5.-9
3. C5a
4. Cl-3

Correct answer: 3. C5a

Explanation: Ans. is 'c' i.e., C5a